The following will be most helpful radiological investigation in a patient suspected of left pleural effusion
1. Right lateral decubitus
2. Left lateral decubitus
3. Left lateral erect
4. Right lateral erect

Correct answer: 2. Left lateral decubitus

Explanation: B i.e. Left lateral decubitus